Bilateral breast ca is -
1. Scirrhous ca
2. Medullary ca
3. Lobular ca
4. Ductal ca

Correct answer: 3. Lobular ca

Explanation: Lobular carcinoma (invasive) is frequently bilateral.
Lobular carcinoma in situ in 20-40% cases are bilateral.
Features of invasive lobular carcinoma of breast are :
Histologic hallmark : pattern of single infiltrating tumor cells often only one cell in width or in loose clusters or sheets.
Signet ring cells common
Lobular carcinoma have a different pattern of metastasis compared to other breast cancers. metastases to the peritoneum, retroperitoneum, leptomeninges (Carcinomatous meningitis), the git, and the ovaries & uterus are frequently observed, these carcinomas are less likely to metastasize to lung and pleura.